Which of the following structure is not passed by Root of Mesentery?
1. 2nd part of Duodenum
2. Right Ureter
3. Right gonadal vessels
4. Inferior Venacava

Correct answer: 1. 2nd part of Duodenum

Explanation: Structures passed by Root of Mesentery

3rd part of Duodenum
Right Ureter
Right gonadal vessels
Inferior Venacava
Aorta
Right psoas major muscle